Child with midline swelling in the neck most probable diagnosis
1. Thyroglossal cyst
2. Thyroid
3. Cystic hygroma
4. Dermoid cyst

Correct answer: 1. Thyroglossal cyst

Explanation: Ans. (a) Thyroglossal CystRef: Schwartz 10th edition, Page 1602* Midline masses include thyroglossal duct remnants, thyroid masses, thymic cysts, or dermoid cysts* Thyroglossal cysts account for about 75% of congenital midline swellings in childhood, and they are the most common abnormality of the midline neck seen in children